True about Rotary NiTi files is
1. Made by Equiatomic alloy of Ni and Ti
2. Developed by WF Buehlar at Navel ordinance laboratory
3. 45% by weight of Titanium and 55% by wt of Nickle
4. All of the above

Correct answer: 4. All of the above